Lens develops from:
1. Surface ectoderm
2. Neuroectoderm
3. Mesoderm
4. Endoderm

Correct answer: 1. Surface ectoderm

Explanation: Ans: a) (surface ectoderm) Ref: parson 20th ed p- 4Structures arising from various primodial layers:Neural ectoderm:Mesoderm:smooth muscle of the irisiris epitheliumciliary epitheliumretinaretinal pigment epitheliumfibres of the optic nervepart of vitreousextraocular musclescorneal stromasclerairischoroidspart of vitreousSurface ectoderm:conjunctival epitheliumcomeal epitheliumlacrimal glandstarsal glandslens